Characteristic pathological finding in carcinoid of heart
1. Fibrous endocardial thickening of right ventricle and tricuspid valve
2. Collagen deposition in wall of right ventricle and tricuspid valve
3. Interstitial fibrous thickening of right ventricle and pulmonic valve
4. Mononuclear inflammatory infiltrate in the wall of right atrium

Correct answer: 1. Fibrous endocardial thickening of right ventricle and tricuspid valve

Explanation: The characteristic cardiac pathological findings of carcinoid heart disease are endocardial thickening as a result of fibrous deposits on the endocardium. Echocardiographic examination and right heart catheterization are very useful for the diagnosis of the lesion. If more cardiac valves are affected, multiple valve replacement should be considered. The management of the pulmonary valve lesion depends on the extent of the diseased valve, either by valvulotomy, valvectomy, or valve replacement. Percutaneous valve implantations in the pulmonary and in the inferior vena cava positions have been advocated for high-risk patients. ref - pubmed.cm